Ileocecal tuberculosis presents with all except
1. Rapid emptying of narrowed terminal ileum
2. Inveed umbrella sign
3. Stellate ulcer with elevated margins
4. Longitudinal ulcers are more common

Correct answer: 4. Longitudinal ulcers are more common

Explanation: D i.e., Longitudinal ulcers are more common Ileocecal tuberculosis - It is the most common site of gastrointestinal tuberculosis (80 -90%). The ileum paicularly terminal pa and ileocecal valve are most commonly affected. The main radiological features are - mucosal fold thickening, discrete (usually transverse or star shaped & circum ferential) ulcers and stricture formation involving terminal ileum associated with funneled contracted caecumQ. In ileocecal TB, terminal ileum is narrowed & thickened and ileocecal valve becomes.irregular thickened, rigid, incompetent, wide gaping and patulous giving rise to Fleischner sign or inveed umbrella defect. Steirlin sign is rapid hyper motality (emptying) of narrowed terminal ileum into shoened rigid & obliterated cecum on barium examinationQ. - Symmetrical annular napkin ring stenosis & widened ileocecal angleQ (normal IC angle is 90deg & it becomes obtuse in ileocecal tuberculosis). Characterstically ulcers tend to be descrete, & transverse or star shaped (stellate) + deep fissures with elevated margins, in contrast to chron's disease where they are usually longitudinalQ. Rt colonic TB presents with rigid shoened contracted cone shaped amputated cecum with hourglass stricture. Amputated cecum means retraction of cecum out of ileal fossa d/t fibrosis of mesocolon.